The Most sensitive marker of cardiac injury is
1. LDH
2. Myoglobin
3. CPK-MB4
4. Troponin

Correct answer: 4. Troponin

Explanation: (D) Troponin # Plasma biochemical markers: The biochemical markers that are most widely used in the detection of Ml are creatine kinase (CK), a most sensitive and cardiospecific isoform of this enzyme (CK-MB), and the cardiospecific proteins, troponins T and I.> The troponins are also released, to a minor degree, in unstable angina with minimal myocardial damage.